Kidney size is normal in
1. Nephronophthisis
2. ADPCKD
3. Acquired renal cysts
4. Medullary sponge kidney

Correct answer: 4. Medullary sponge kidney

Explanation: Kidney size :
Normal - Medullary sponge kidney, Simple renal cysts.
Small - Medullary Cystic kidney, Nephronophthisis .